A patient on treatment for leukemia develoPS chest pain pulmonary infiltrates and pleural effusion. The likely cause is
1. Daunorubicin
2. Hydroxyurea
3. Cytarabine
4. Tretinoin

Correct answer: 4. Tretinoin

Explanation: Refer Katzung 10th,/899 Tretinoin causes chest pain, pleuritis, pulmonary infiltrates and pleural effusion. It is known human teratogen Daunorubicin and Doxorubicin cause cardiotoxicity manifested as arrhythmias and CHF